Meningitis is characterized by the acute onset of fever and stiff neck. Aseptic meningitis may be caused by a variety of microbial agents. During the initial 24 h of the course of aseptic meningitis, an affected person's cerebrospinal fluid is characterized by
1. Decreased protein content
2. Elevated glucose concentration
3. Lymphocytosis
4. Polymorphonuclear leukocytosis

Correct answer: 4. Polymorphonuclear leukocytosis

Explanation: Aseptic meningitis is characterized by a pleocytosis of mononuclear cells in the cerebrospinal fluid; polymorphonuclear cells predominate during the first 24 h, but a shift to lymphocytes occurs thereafter. The cerebrospinal fluid of affected persons is free of culturable bacteria and contains normal glucose and slightly elevated protein levels. Peripheral white blood cell counts usually are normal. Although viruses are the most common cause of aseptic meningitis, spirochetes, chlamydiae, and other microorganisms also can produce the disease. Reference: Ananthanarayan and Paniker's Textbook of Microbiology Tenth edition